In urban which Anopheles species is seen -
1. Stephnsi
2. Culicifacies
3. Fluvitalis
4. None

Correct answer: 1. Stephnsi

Explanation: - Anopheles stephensi is responsible for malaria in, urban and industrial areas. - this type is found in urban areas, intermediate form in urban and semi-urban localities. Reference : Park's textbook of preventive and social medicine, 23rd edition pg no:256